Sabin Feldman exclusion test is used for diagnosis of:
1. Syphilis
2. Leptospirosis
3. Toxoplasmosis
4. Multiple myeloma

Correct answer: 3. Toxoplasmosis

Explanation: Ans. c (Toxoplasmosis). (Ref. Harrison's medicine 16th ed. 1243)TOXOPLASMOSIS# Sabin-Feldman dye test is for trophozoites of Toxoplasma gondii.# IgG antibodies are primarily measured by the Sabin-Feldman Dye Test (DT).# The DT is a sensitive and specific neutralization test in which live organisms are lysed in the presence of complement and the patient's IgG T. gondii-specific antibody.# IgG antibodies usually appear within 1 to 2 weeks of the infection, peak within 1 to 2 months, fall at variable rates, and usually persist for life. The titer does not correlate with the severity of illness.# A positive DT establishes that the patient has been exposed to the parasite. A negative DT essentially rules out prior exposure to T. gondii (unless the patient is hypogammaglobulinemic).# In addition, rare cases of toxoplasmic chorioretinitis and TE (toxoplasmic encephalitis) in immunocompromised patients have been documented in patients negative for T. gondii-specific IgG antibodies.# Rx: Sulfadiazine + pyrimethamine.